Ventilation perfusion ratio is maximum at
1. Posterior lobe of lung
2. Middle lobe
3. Apex of lung
4. Base of lung

Correct answer: 3. Apex of lung

Explanation: Ventilation perfusion ratio is maximum at the apex of the lung Ref: guyton and hall textbook of medical physiology 12 edition page number: 332,333,334